Which among the following is not a cardinal feature of ADHD
1. Inattention
2. Impulsivity
3. Hyperactivity
4. Temper Tantrums

Correct answer: 4. Temper Tantrums

Explanation: ADHD is characterized by the three core symptoms of inattention, hyperactivity, and impulsiveness. The symptoms under Inattention dimension are *DOES NOT LISTEN TO OTHERS *DOES NOT FOLLOW INSTRUCTIONS *LOOSES THINGS *FORGETS DISTRACTIBLE symptoms under hyperactivity dimension are *FIDHETY *LEAVES SEAT ALWAYS *TALKS MORE *DOES NOT PLAY QUIET symptoms under impulsivity dimension are *DOES NOT WAIT FOR TURN *BLUS OUT ANSWERS *INTERRUPTS DSM-IV recognizes 3 subtypes: a combined subtype where all 3 features are present, an inattentive subtype (ADD), and a hyperactive-impulsive subtype. Reference: Oxford Textbook of Psychiatry; 3rd edition; Chapter 16; Child and adolescent psychiatry